The weight of the uterus at 8 weeks postpartum is
1. 100 g
2. 500 g
3. 700 g
4. 900 g

Correct answer: 1. 100 g

Explanation: The uterus weight about 1000 to 1200 gm immediately after delivery, As a result of involution, it decreases in weight to about 500 gm by one week, and to about 30 gm at the end of second week At the end of 6 weeks, its measurement is almost similar to that of the non-pregnant state and weight about 60 gm.